Iron is absorbed from -
1. Small intestine
2. Stomach
3. Large intestine
4. None

Correct answer: 1. Small intestine